Most common cause of intracranial bleed is:
1. Berry aneurysm
2. Hypertension
3. Coagulopathy
4. Diabetes

Correct answer: 2. Hypertension

Explanation: Ans. B: Hypertension Causes of intracranial bleed: Hypertension (Most common) Arteriovenous malformation Aneurysmal rupture Cerebral amyloid angiopathy Intracranial neoplasm Coagulopathy Hemorrhagic transformation of an ischemic infarct Cerebral venous thrombosis Sympathomimetic drug abuse Sickle cell disease Eclampsia or postpartum vasculopathy Infection Vasculitis Trauma